Parapharygeal space is also known as
1. Retropharyngeal space
2. Pyriform sinus
3. Lateral pharyngeal space
4. Pterygomaxillary space

Correct answer: 3. Lateral pharyngeal space

Explanation: Parapharyngeal space is situated on the side of the pharynx. It is pyramidal in shape with the base at the base of the skull and apex at the hyoid bone. It contains carotid vessels, jugular vein, last 4 cranial nerves and cervical sympathetic chain. Ref: Diseases of ENT, PL Dhingra, 7th edition, pg no. 301